In rabies, Negri bodies can be detected in:
1. Cornea
2. Saliva
3. Skin
4. Neuron

Correct answer: 4. Neuron

Explanation: Ans. D i.e. Neuron The most characteristic pathologic finding of rabies in the CNS is the formation of cytoplasmic inclusions called 'negri bodies' within neurons. Negri bodies are distributed throughout the brain, particularly in Ammon's horn, the cerebral cortex, the brainstem, the hypothalamus, the Purkinje cells of the cerebellum, and the dorsal spinal ganglia.